Prolactin secretion is inhibited by:
1. Dopamine antagonist
2. GABA
3. Neurophysin
4. Bromocripitine

Correct answer: 4. Bromocripitine

Explanation: Ans. is 'd' i.e. BromocriptineRef. K.D.T. 4th/ep244, K.D.T 5th/ep217Prolactin is under predominant inhibitory control of hypothalamus through prolactin releasing inhibitory hormone (PRIH).PRIH is a dopamine that acts on pituitary lactotrope D2 receptor.So, Dopaminergic agonists decrease plasma prolactin levels. These agonists are :Dopamine*Bromocriptine*Apomorphine*Dopaminergic antagonists and DA depletes will increase prolactin levelDopaminergic antagonists are :ChlorpromazineHaloperidolMetoclopramideDopamine depletes are :Reserpine Methyl dopaUses of Bromocriptine are :Hyperprolactinemia*AcromegalyParkinsonism Hepatic comaSuppression of lactation and breast engorgement after delivery.